Fundoscopic examination is typically done in 35yr old male using
1. Homatropine
2. Phenylephrine
3. Tropicamide
4. Atropine

Correct answer: 3. Tropicamide

Explanation: IN adults fundoscopic examination is done usually with tropicamide eye drops as onset of action is within 15 to 20 min and the duration of action is short when compared to other drugs Ref: KDT 6th ed pg 115